Which of the following drug reduces plasma renin activity
1. Nifedipine
2. Enalapril
3. Hydralizine
4. Clonidine

Correct answer: 4. Clonidine

Explanation: Refer kDT 7/e p 500 This allows your blood vessels to relax and your heart to beat more slowly and easily. The Catapres brand of clonidine is used totreat hypertension (high blood pressure). The Kapvay brand is used to treat attention deficit hyperactivity disorder (ADHD). Clonidine inhibits plasma renin activity (PRA) in hypertensive patients, 2. This effect is not related to sodium retention, but is probably due to inhibition especially when administered for more than 4 days. of the basal sympathetic activity.